Which of the following regions of the spinal cord is involved first in Friedreich's Ataxia:
1. Dorsal Root ganglion
2. Spinal tracts
3. Peripheral nerve
4. Cerebellum

Correct answer: 1. Dorsal Root ganglion

Explanation: Answer is A (Dorsal Root Ganglion): The first pathological changes in Friedreich's ataxia are thought to occur in the dorsal root ganglia with loss of large sensory neurons Ref: Clinical Neurology by Goetz.